Kusum lata presents with acute painful red eye and mild dilated vertically oval pupil. Most likely diagnosis is –
1. Acute retrobulbar neuritis
2. Acute angle closure glaucoma
3. Acute anterior uveitis
4. Severe kerato–conjunctivitis

Correct answer: 2. Acute angle closure glaucoma

Explanation: Mild dilated (semidilated), vertically oval pupil is characteristic of acute congestive glaucoma.